Iron absorption from intestine is regulated by -
1. Acid secretion in stomach
2. Reducing substances in food
3. Mucosal block in the intestinal cells in according to iron requirement
4. Alkaline medium in small intestine

Correct answer: 3. Mucosal block in the intestinal cells in according to iron requirement

Explanation: The iron absorption is based on Mucosal block in the intestinal cells in according to iron requirement. REF. PARK'S TEXTBOOK OF PREVENTIVE AND SOCIAL MEDICAL 21ST EDITION. PAGE NO - 623